Significance of difference between two proportions is best studied by:
1. 't' test
2. Chi square test
3. ANOVA
4. Regression coefficient

Correct answer: 2. Chi square test

Explanation: Ans: B (Chi square test) Ref: Textbook of Preventive and Social Medicine, K Park,20th edition, page no:755.Explanation:CHI-SQUARE TESTChi-square (x2) Test is the best method for testing the significance of difference between two proportions.It has the advantage that it can also be used when more than two groups are to be compared.